Tissue graft rejection can be prevented by the suppression of
1. Plasma antibodies
2. T-cells
3. Allergy producing mast cells and basophils
4. Macropghages

Correct answer: 2. T-cells